Philtrum of upper tip is derived from
1. Maxillary prominence
2. Mandibular prominence
3. Medial nasal process
4. Lateral nasal process

Correct answer: 3. Medial nasal process